A mother donated a kidney to her daughter having chronic renal failure, which kind of graft it represents:
1. Allo
2. ISO
3. Xeno
4. Auto

Correct answer: 1. Allo